Rasburicase is a newer drug used in gout. It act by:
1. Decreasing urate synthesis
2. Increasing urate oxidation
3. Decreasing intestinal absorption of uric acid
4. Increasing renal excretion of uric acid

Correct answer: 2. Increasing urate oxidation

Explanation: Treatment of Gout: Drug Mechanism Allopurinol Decrease the formation Probenecid Increase the excretion Rasburicase Increase the metabolism Allopurinol, a xanthine oxidase inhibitor, is a purine analog. It reduces the production of uric acid by competitively inhibiting the last two steps in uric acid biosynthesis that are catalyzed by xanthine oxidase. Probenecid is a uricosuric drug. It is a weak organic acid that promotes renal clearance of uric acid by inhibiting the urate anion exchanger in the proximal tubule that mediates urate reabsorption. At therapeutic doses, it blocks proximal tubular reabsorption of uric acid. Probenecid blocks the tubular secretion of penicillin and is sometimes used to increase levels of b-lactam antibiotics. Recombinant urate oxidase; catalyzes the oxidation of uric acid into allantoin, a soluble metabolite of uric acid.